During the surgical removal of an invasive glioma from the base of the skull, cranial nerves IX and X are accidentally cut bilaterally. What would be the immediate change in the patient's hemodynamic condition?
1. Bradycardia with hypertension
2. Bradycardia with hypotension
3. Sinus arrhythmia with hypotension
4. Tachycardia with hypertension

Correct answer: 4. Tachycardia with hypertension

Explanation: The glossopharyngeal nerve (CN IX) and the vagus nerve (CN X) carry afferent information to the medulla from the carotid sinus and aortic arch baroreceptors, respectively. The firing rate of these neurons increases with increasing blood pressure. Therefore, severing these nerves sends the medulla a false signal that the patient has suddenly lost all blood pressure. This elicits a baroreceptor reflex, resulting in an increase in sympathetic outflow and leading to tachycardia and hypertension.